Which of the following is not used for diagnosing celiac disease?
1. Anti-endomysial antibody
2. Anti-nuclear antibody
3. Anti-gliadin antibody
4. Anti-tissue transglutaminase antibody

Correct answer: 2. Anti-nuclear antibody

Explanation: Diagnosis of celiac disease is by

Anti endomyseal antibody
Antideaminated gliadin antibody
Anti-tissue transglutaminase antibody